A male patient with blunt Trauma Abdomen is hemodynamically stable. What is the next line of management?
1. Observation
2. Further imaging of abdomen
3. Exploratory Laparotomy
4. Laparoscopy

Correct answer: 2. Further imaging of abdomen

Explanation: A hemodynamically stable patient after blunt trauma abdomen should need further evaluation by imaging. Imaging of the abdomen with Ultrasound (FAST) is the best next line of investigation.